The quantity of water considered adequate in urban areas (in liters per day person) is -
1. 50-100
2. 100-150
3. 150-200
4. 200-250

Correct answer: 3. 150-200

Explanation: A daily supply of 150-200 litres per capita is considered adequate to meet the needs for urban domestic purposes. But again it depends on the climate, standard of living and habits of people. Park's Textbook of Preventive and Social Medicine, 25th edition, Page No. 766